Dark ground microscopy is used for detection of -
1. Spirochetes
2. Chlamydia
3. Fungi
4. Virus

Correct answer: 1. Spirochetes